Excessive intake of which of these causes necrosis of PCT -a)  Mercuryb)  Alcoholc)  Arsenicd)  Phenol
1. abc
2. ad
3. bc
4. acd

Correct answer: 4. acd